Saffron coloured meconium is seen in :
1. Post maturity
2. TB
3. Breech
4. Normal in appearance

Correct answer: 1. Post maturity

Explanation: Post maturity